Most common causative agent of UTI in females -
1. Staph saprophyticus
2. E.coli
3. Klebsiella
4. Proteus

Correct answer: 2. E.coli

Explanation: Ans. is 'b' i.e., E. coli o E. coli causes 80-90% of acute uncomplicated bacterial lower tract infections (cystitis) in young women.